Which is not seen in complete ecotopic vesicae -
1. Umbilical hernia
2. Visible uretero vesical efflux
3. Hypospadias
4. Waddling gate

Correct answer: 3. Hypospadias

Explanation: There is epispadiasis.